Student- test is used as
1. Parametric test based on variance
2. Non-Parametric test based on variance
3. Parametric test based on average
4. Nun-Parametric test based on average

Correct answer: 3. Parametric test based on average